Which of the following amino acid is required for synthesis of hemoglobin?
1. Alanine
2. Glycine
3. Arginine
4. Histidine

Correct answer: 2. Glycine

Explanation: Synthesis of Heme The enzyme ALA synthase condenses glycine with succinyl CoA to form delta-aminolevulinic acid (ALA) (Chapter 21). It is the key enzyme of heme synthesis.Ref: DM Vasudevan - Textbook of Biochemistry, 6th edition, page no: 185